Plexus of Raschkow is
1. Also termed as parietal layer of nerve
2. The peripheral axon network of nerves
3. Located adjacent to cell rich zone
4. All of the above

Correct answer: 4. All of the above

Explanation: The peripheral axons form a network of nerves located adjacent to the cell-rich zone. This is termed the parietal layer of nerves, also known as the plexus of Raschkow.